Which one of the following is an autosomal dominant type of genetic disorder
1. Colour - blindess
2. Haemophilia
3. Phenylketonuria
4. Tuberous sclerosis

Correct answer: 4. Tuberous sclerosis

Explanation: Tuberous sclerosis complex (TSC) is an autosomal dominant multisystem disorder characterized by hamartomas in multiple organ systems, including the brain, skin, heart, kidneys, and lung. Ref Robbins 9 /e pg 165